What is a straddle fracture?
1. Fracture of the skull
2. Fracture of the C5 vertebra
3. Multiple rib fracture both sides of the midline
4. Pelvic fracture

Correct answer: 4. Pelvic fracture

Explanation: Straddle fracture of the pelvis (fracture of both superior and inferior pubic rami) is considered an unstable injury. The mechanism is a vertical shear injury (in this case a car accident). Withstraddle fractures, there is a 40% chance of injury to the genitourinary tract Ref ganong's review of medical physiology 25e